For a population of ______ in plains, A female health worker is alloted
1. 1000
2. 2000
3. 5000
4. 7000

Correct answer: 3. 5000

Explanation: Female health worker is alloted at subcenter level.
Subcenter in plains is for 5000 population.
Subcenter in hilly/tribal areas is for 3000 population.